Structures presented in MRM are all following except
1. Axillary vessels
2. Bell's nerve
3. Cephalic vein
4. Nipple

Correct answer: 4. Nipple